Casoni test is:
1. Type I Hypersensitivity reactions
2. Type II Hypersensitivity reactions
3. Type III Hypersensitivity reactions
4. Type IV Hypersensitivity reactions

Correct answer: 1. Type I Hypersensitivity reactions

Explanation: Type I Hypersensitivity reactions